Hind milk is richer in –
1. Carbohydrate
2. Protein
3. Fat
4. Minerals

Correct answer: 3. Fat

Explanation: The composition of breastmilk varies at different stages after birth to suit the needs of the baby.
According to the postnatal period the breast milk is divided into -

1. Clostrum

Is the milk secreted during the first three days after delivery.
It is yellow and thick.
It contains more antibodies and cells and high amounts of vitamins A,D,E and K.

2. Transitional milk

Is secreted during the following two weeks (after clostrum).
The immunoglobulin and protein content decreases while the fat and sugar content increases.

3. Mature milk

Follows transitional milk.
It is thin and watery but contains all the nutrients essential for optimal growth of the body.


According to feed the breast milk is divided into -
1. Fore milk


It is watery and is rich in protein, sugar, vitamins, minerals and water that satisfy the baby's thirst. 

​​2.Hind milk

Comes towards the end of feed
Rich in fat content and provides more energy, and satisfies the baby's hunger.
The milk of mother who delivers prematurely differs from the milk of a mother who delivers at term -

Preterm milk

Contains more protein S, sodium, iron, immunoglobins and calories as they are needed by the preterm baby.